Renal collar which surrounds the aorta has its two limbs split by:
1. Left renal vein
2. Left renal artery
3. Isthmus of horseshoe kidney
4. All of the above

Correct answer: 1. Left renal vein

Explanation: Renal collar The main renal vein divides and sends one limb anterior and another limb posterior to aorta to reach the IVCQ. Formed on the left side and represent persistence of the embryonic state.